By 2 week of age, infants normally show all of the following signs EXCEPT
1. Copying facial expression
2. Stepping
3. Palmar grasp
4. A negative Babinski reflex

Correct answer: 4. A negative Babinski reflex

Explanation: By 2 weeks of age, infants show stepping, palmar grasp, the rooting reflex, and the copying of facial expressions. The Babinski reflex is normally positive until a child is approximately 12 months of age.